P wave is absent in -
1. Atrial fibrillation
2. Congestive cardiac failure
3. Atrial flutter
4. Myocardial infarction

Correct answer: 1. Atrial fibrillation

Explanation: Atrial fibrillation (AF or A-fib) is an abnormal heart rhythm characterized by rapid and irregular beating of the atrial chambers of the heart.Often it starts as brief periods of abnormal beating which become longer and possibly constant over time. Often episodes have no symptoms.Occasionally there may be heart palpitations, fainting, lightheadedness, shortness of breath, or chest pain. The disease is associated with an increased risk of heart failure, dementia, and stroke.It is a type of supraventricular tachycardia Leads V4 and V5 of an electrocardiogram showing atrial fibrillation with somewhat irregular intervals between heart beats, no P waves, and a heart rate of about 150 BPM. Ref Harrison 20th edition pg 1412